A 25-year-old female presented with features of weight gain and loss of appetite and easy fatigue. On examination a swelling was noticed in anterior aspect of neck which moved with deglutination. Biopsy performed from neck revealed the following. What is your diagnosis?
1. Reidel's thyroiditis
2. Hashimoto thyroiditis
3. Follicular carcinoma thyroid
4. Graves disease

Correct answer: 2. Hashimoto thyroiditis

Explanation: Ans. (b) Hashimoto's thyroiditis*The history given suggests a thyroid swelling. The given biopsy from the same shows thyroid parenchyma containing a dense lymphocytic infiltrate with germinal centers. Residual thyroid follicles are lined by deeply eosinophilic Hurthle cells. This suggests Hashimoto's thyroiditis.